Abnormal excretory function of hepatocytes may be assessed by:
1. Increased PT
2. Increased ALT
3. Increased Alkaline Phosphatase
4. All

Correct answer: 3. Increased Alkaline Phosphatase

Explanation: Answer is C (Increased Alkaline Phosphatase) Abnormal excretory, function of hepatocytes leads to cholestasis. Enzymes that are used to reflect cholestasis may thus be used to assess the excretory function of hepatocytes indirectly. These enzymes include Alkaline phosphatase, 5' nucleotidase and gamma glutamy tran.sferase (GGT) Note that true assessment of hepatic excretory function requires measurement of serum concentration of substances metabolized and transported by the liver or by determination of rate of clearance of exogenously administered dyes or drugs such as indocyanine green, caffeine, lidocaine and PABA. Liver enzymes including those reflecting cholestasis are not true measures for detecting excretory function of hepatocvtes. However, amongst the options provided these are the best answers of exclusion as they may provide an indirect assessment of excretory function of hepatocytes.